Act passed after independence:
1. Majority Act
2. Child Marriage Restraint Act
3. ESI Act
4. None

Correct answer: 3. ESI Act

Explanation: Ans. ESI Act